Neuroleptic malignant syndrome is characterized by
1. Bradycardia
2. Labile hypertension
3. Hypotonia
4. Hypothermia

Correct answer: 2. Labile hypertension

Explanation: Features of Neuroleptic malignant syndrome Increased body temperature >38degC (>100.4degF), orConfused or altered consciousnessDiaphoresis "sweat shock"Rigid musclesAutonomic imbalanceLabile hypertension Metabolic acidosis (Refer: Kaplan and Saddock's Synopsis of Psychiatry, 10th edition, pg no: 995)